Which of the following is short acting neuromuscular blocking agent:
1. Pancuronium
2. Doxacurium
3. Mivacurium
4. Vecuronium

Correct answer: 3. Mivacurium

Explanation: Ans. C: Mivacurium Mivacurium have fast onset and resolution of action Onset: 2-4 minutes and duration is 12-20 minutes It does not need reversal. Dose and speed of injection related transient cutaneous flushing can occur due to histamine release. It is metabolized rapidly by plasma cholinesterases; prolonged paralysis can occur in pseudocholinesterase deficiency.